Mechanism of direct transfer of free DNA?
1. Transformation
2. Conjugation
3. Transduction
4. None

Correct answer: 1. Transformation

Explanation: Ans. is 'a' i.e., Transformation Transformation is the transfer of genetic material through the agency of free DNA.